500 people of viral fever are treated with a medicine. 80 percent were cured in 3 days. True statement about efficacy of medicine -
1. Medicine is effective
2. Cannot be commented
3. Medicine is ineffective
4. None of the above

Correct answer: 2. Cannot be commented